A healthy young athlete sitting at table with knee at 90deg flexion. What will happen when he fully extends the knee?
1. Movement of tibial tuberosity towards medial border of patella
2. Movement of tibial tuberosity towards lateral border of patella
3. Movement of tibial tuberosity towards centre of patella
4. No change in relationship

Correct answer: 2. Movement of tibial tuberosity towards lateral border of patella

Explanation: In sitting posture (when foot is off the ground), full extension leads to knee locking (by lateral rotation of tibia). Hence, tibial tuberosity moves laterally towards the lateral border of patella.